The CSF in patient with multiple sclerosis will typically exhibit
1. Glucose content of less than 20% of the serum content
2. Persistently elevated total protein content
3. Elevated immunoglobulin content
4. WBCs more than 100 cells /microliter

Correct answer: 3. Elevated immunoglobulin content

Explanation: Immunoglobulins typically K light chains are persistently elevated in multiple sclerosis